FLT3-TKD gene is located at?
1. 13q12
2. 11q23
3. 11p13
4. 4q24

Correct answer: 1. 13q12

Explanation: FLT3-TKD- present in approx. 30% of cases of AML. It is located on long arm of Chromosome 13. AML: Good prognosis t (15;17) t (8;21) inv 16 Poor prognosis t (6;9) inv 3 7 deletion